Which of the following is the indication for Type I thyroplasty?
1. Vocal cord medialization
2. Vocal cord lateralization
3. Vocal cord shortening
4. Vocal cord lengthening

Correct answer: 1. Vocal cord medialization

Explanation: Type I thyroplasty is a form of medialization laryngoplasty, in which an implant is placed between the thyroid cartilage and the vocalis muscle to medialize the membranous vocal fold.